Stye is suppurative inflammation of glands of -
1. Zeis
2. Meibonian
3. Wolfring
4. All the above

Correct answer: 1. Zeis

Explanation: Ans. is 'a' i.e., Zeis Differences between stye (Hordeolum externum), chalazion and Hordeolum internum Stye (Hordeolum externum)ChalazionHordeolum internumOnsetAcuteChronicAcuteGlandZeis's glandMeibomian glandMeibomian glandTypes of inflammationSuppurativeLipogranulomatousSuppurativeSymptomsAcute pain and swellingPainless disfigurementSevere painSignsLocalized, hard and tender swelling near the lid marginHard nontender swelling away from lid marginYellow point seen on everting the lidTreatmentHot fomentation, Antibiotics and removal of eye lasho Drainage by incision and curettageo Intralesional steroido Diathermy, antibiotico Incision and drainageo Antibiotics and analgesic